Half life of alteplase
1. 3 min
2. 6 min
3. 9 min
4. 12 min

Correct answer: 2. 6 min

Explanation: Ref Harrison 19 th ed pg 758 Atleplase has a plasma half-life of 4-6 minutes.